Which of the statements is not true regarding Macleod\'s Syndrome –
1. It is not a true emphysema
2. Occurs before 8 years of age
3. It is unilateral emphysema
4. The pulmonary artery on the affected side is hyperplastic

Correct answer: 4. The pulmonary artery on the affected side is hyperplastic

Explanation: Macleod syndrome 

It is also known as Swyer - Janes syndrome
It is a cause of unilateral hyperlucent lung.
It may present as acute pneumonia, but most patients are discovered when a chest X-ray is obtained for an unrelated reason.
This not a true emphysema.
On examination there is hyperresonance and a small lung with mediastinum shifted towards the more abnormal lung.
There is no vascular abnormality.
No specific treatment is required, it may become less symptomatic with time.